True regarding Staphylococcal food poisoning is
1. Caused by eating of dairy products
2. Caused by endotoxins
3. Caused by fishes
4. Associated with abnormal

Correct answer: 1. Caused by eating of dairy products

Explanation: Ans. is 'a' i.e., Caused by eating of dairy products o Staphylococcal enterotoxin are heat stable o Incubation periood -3 short (1-6 hrs) because of preformed toxins